An 8-month old child presented with itchy, exudative lesions on the face, palms and soles. The siblings also have similar complaints. Which of the following is the treatment of choice?
1. Systemic ampicillin
2. Topical permethrin
3. Systemic prednisolone
4. Topical betamethasone

Correct answer: 2. Topical permethrin

Explanation: The child in the question is showing features of scabies cause by Sarcoptes scabei. The treatment of choice in scabies is 5% permethrin cream. In adults, it is applied from the neck down and washed off after 8-14 hours. In children younger than 5 years of age and the elderly, it should be applied to the entire skin surface except the eyes. Other treatment options includes 1% gamma benzene hexachloride, Ivermectin, 25% Benzyl benzoate and Topical crotominton 10%. Ref: CURRENT Diagnosis and Treatment of Sexually Transmitted Diseases, Chapter 30.